A young man presents with history of motorcycle accident resulting in a fall on the head. The only finding is a bruise over the eyebrow. What is he most likely to suffer from?
1. Orbital blow out fracture
2. Rosette cataract
3. Traumatic optic neuropathy
4. Scleral rupture

Correct answer: 3. Traumatic optic neuropathy

Explanation: Traumatic optic neuropathy can occur in trauma over eyebrow(most commonly at the junction of lateral 1/3rd and medial 2/3rd of eyebrow behind which runs the intra canalicular part of optic nerve). Orbital blow out fracture will cause bruise over lower part of eye, not eyebrow. Rosette cataract can be seen in trauma but it is not associated with bruise over the eyebrow. Scleral rupture will not occur in trauma occurring at the level of eyebrow.